The gastrointestinal eﬀects of metoclopramide does not include:
1. It accelerates gastric emptying
2. It alters colonic motility
3. It reduces reﬂex from the stomach into the oesophagus
4. It decreases the bioavailability of digoxin

Correct answer: 2. It alters colonic motility

Explanation: Metoclopramide enhances the motility of the gut from the esophagus to the proximal small bowel with little eﬀect on the colonic motility. 
As the transit time is reduced bioavailability of drugs like digoxin is decreased.
It accelerates gastric emptying, relaxes the upper stomach and increases antral contractions thus reducing reﬂux into the esophagus.